Copper binding protein ?
1. Albumin
2. Globulin
3. Transferrin
4. Ceruloplasmin

Correct answer: 4. Ceruloplasmin

Explanation: Ans. is 'd' i.e., Ceruloplasmin